Blood supply of esophagus in the neck is by -
1. Inferior thyroid artery
2. Costophrenic artery
3. Mediastinal artery
4. Superior thyroid artery

Correct answer: 1. Inferior thyroid artery

Explanation: Ans. is 'a' i.e., Inferior thyroid artery Part of oesophagusArterial SupplyVenous DrainageCervicalInferior thyroid arteryInferior thyroid veinsThoracicEsophageal branches of descending thoracic aorta bronchial arteriesAzygous veinAbdominalLeft gastric arteryleft inferior phrenic arteryLeft gastric vein